Which one of the following condition is associated with extensive pleural thickening and calcification especially involving the diaphragmatic pleura?
1. Coal worker's pneumoconiosis
2. Asbestosis
3. Silicosis
4. Siderosis

Correct answer: 2. Asbestosis

Explanation: Extensive pleural thickening and calcification especially involving the diaphragmatic pleura are classical features of Asbestosis. Exposure to asbestos can result in extensive pleural thickening, calcification, effusion, and malignant neoplasm of lung and pleura. Pleural fibrosis associated with asbestos fiber inhalation result in diffuse pleural thickening or focal plaque formation bilaterally, and is the most frequent manifestation of asbestos exposure. Pleural calcification occuring especially along the diaphragmatic surface of pleura is also pathognomonic of prior asbestos exposure Ref: Computed Body Tomography with MRI Correlation, Volume 1 By Joseph K. T. Lee, 4th Edition, Pages 489-90; Handbook of Medical-Surgical Nursing By Lippincott Williams and Wilkins, Page 194; Asbestos : Mixed Dust and Fela Issues, Page 110.